A patient of bronchial asthma was prescribed for 2 puffs from a metered dose inhaler of budesonide. Which of the following should not be done
1. Shake the inhaler well before use
2. Clean the inhaler after every use
3. Wait for 1 minute in between the puffs
4. Rinse mouth after every use

Correct answer: 2. Clean the inhaler after every use